All of the following symptoms are seen in cystitis Except
1. Fever
2. Hematuria
3. Dysuria
4. Nocturia

Correct answer: 1. Fever

Explanation: In cystitis there will be increased frequency, pain, haematuria and pyuria. Pyrexia and rigors are not associated with simple UTI but are signs of upper tract infection or septicemia. Reference : Bailey &Love, 27th Edition, page no = 1442.